Zidovudine and didanosine used in HAART act by
1. Inhibitory effects on viral DNA
2. Nucleoside reverse transcriptase inhibition
3. Inhibit the synthesis of gp41
4. Protease inhibition

Correct answer: 2. Nucleoside reverse transcriptase inhibition

Explanation: These drugs act by Nucleoside reverse transcriptase inhibition